According to the myogenic hypothesis of renal autoregulation, the afferent arterioles contract in response to stretch induced by
1. NO release
2. Noradrenaline release
3. Opening of Ca2+ channels
4. Adenosine release

Correct answer: 3. Opening of Ca2+ channels

Explanation: According to the myogenic hypothesis of renal autoregulation, the afferent arterioles contract in response to stretch by the opening of Ca2+ channels, whereas, tubuloglomerular feedback is due to the opening of ligand-gated Ca2+ channels by adenosine.